Which of the following would be the plasma osmolatity of child with plasma Na+ 125 mEq/L, glucose of 108mg/d1, and blood urea nitrogen (BUN) of 140 mg/dl -
1. 360 mOsm/kg
2. 306 mOsm/kg
3. 312 mOsm/kg
4. 318 mOsm/kg

Correct answer: 2. 306 mOsm/kg

Explanation: Ans. is `b' i.e., 306 mOsm/kg Osmolality = 2 (Na+) + .055 + .36 (mOSM/L (meq/L) (mg/dl) (mg/dl). o Replacing values given in the question. Osmolaity = 2 (125 meq/1) + .055X108mg/dL+.36 X 140mg dL = 306 mOsm/L.